A 68-year-old diabetic male presents with persistent ear discharge with fever and headache. He complained of pain out of proportion. On examination, granulations and tenderness are observed on the floor of the external auditory canal along with facial nerve palsy. He is not responding to antibiotics. What is the most probable diagnosis?
1. Malignant otitis externa
2. Malignant disease of middle ear
3. Malignant disease of nasopharynx
4. Chronic otitis externa

Correct answer: 1. Malignant otitis externa

Explanation: Ans. a. Malignant otitis externa Presence of a painful lesion in the external ear with the evidence of granulation tissue and associated cranial nerve palsies (VII nerve) in a diabetic (or immunocompromised) patient suggest a diagnosis of malignant otitis externa.